Mifepristone is not used in?
1. Abortion
2. Cushing syndrome
3. PPH
4. Cervical ripening

Correct answer: 3. PPH

Explanation: PPH REF: Shaw 13th ed p. 307, William's 22nd edition different pages, http://en.wikipedia.org/wiki/ Mifepristone Therapeutic uses of Mifepristone Medical termination of intrauterine pregnancies of up to 49 days gestation (up to 63 days gestation in Britain and Sweden) Use in combination with gemeprost for termination of pregnancies between 13 and 24 weeks gestation Missed abortion Ectopic pregnancy Softening and dilatation of the cervix prior to mechanical cervical dilatation for pregnancy termination Labor induction in fetal death in utero Mifepristone has been used to treat Cushing's syndrome with treatment durations being as long as 10 years without noticeable adverse effect Postcoital contraception